Majority of the hormone levels will decrease with aging. Which of the following hormone does NOT obey this rule?
1. Growth hormone
2. Prolactin
3. Testosterone
4. Aldosterone

Correct answer: 2. Prolactin

Explanation: Growth hormone, Testosterone, aldosterone will decrease with aging, but prolactin level increases with aging. Ref:Harrisons Principles of Internal Medicine, 18th Edition, Page 575